Enterobacteriaceae includes all except
1. Pseudomonas
2. Klebsiella
3. salmonella
4. Proteus

Correct answer: 1. Pseudomonas

Explanation: Enterobacteriaceae includes- proteus, salmonella, and klebsiella Ref: Textbook of microbiology; Ananthanarayan and paniker's; 10th Edition; Pg:277